The spine of the scapula can be palpated at which of the following level of vertebrae?
1. T 1
2. T 3
3. T 5
4. T 7

Correct answer: 2. T 3

Explanation: Spine of the scapula lies at the level of T3 vertebrae. Scapular spine is seen on the posterior surface of the scapula and it expands into a terminal process called acromion process. The scapulae overlie the posterior portion of the thoracic wall, and cover the upper seven ribs. The superior angle of scapula can be palpated at the T1 vertebral level and the inferior angle lies at the level of T7 vertebrae.